Which is the most common type of shock in surgical practice
1. Cardiogenic
2. Hypovolemic
3. Neurogenic
4. Septic shock

Correct answer: 2. Hypovolemic

Explanation: Hypovolemic shock is probably the most common form of shock, and to some degree is a component of all other forms of shock. Hypovolemic shock is due to reduced circulating volume. Reference : Bailey & Love, 27th Edition, page no = 13.